Psammoma bodies are seen in
1. Papillary carcinoma of thyroid
2. Medullary carcinoma of thyroid
3. Follicular carcinoma of thyroid
4. Anaplastic carcinoma

Correct answer: 1. Papillary carcinoma of thyroid

Explanation: Refer Robbins page no Papillary carcinoma arr recognised based on nulcear6 features even in the absence of papillae. Psmmamoma bodies are a characteristic feature of papillary cancers these neoplasm often metastasizw6 by way of lymphatics, but the prognosis is excellent